Skeletal framework of a cell is maintained by
1. Nucleus
2. Microtubules
3. Ribosomes
4. Mitochondtia

Correct answer: 2. Microtubules

Explanation: It is a part of cytoskeleton Microtubules are major components of the cytoskeleton. They are found in all eukaryotic cells, and they are involved in mitosis, cell motility, intracellular transport, and maintenance of cell shape. Microtubules are composed of alpha- and beta-tubulin subunits assembled into linear protofilaments. Ref guyton and hall textbook of medical physiology 12/e p22